A 62-year-old woman slips and falls on the bathroom floor. As a result, she has a posterior dislocation of the hip joint and a fracture of the neck of the femur If the acetabulum is fractured at its posterosuperior margin by dislocation of the hip joint, which of the following bones could be involved?
1. Pubis
2. Ischium
3. Ilium
4. Sacrum

Correct answer: 3. Ilium

Explanation: The acetabulum is a cup-shaped cavity on the lateral side of the hip bone and is formed: superiorly by the ilium, posteroinferiorly by the ischium, anteromedially by the pubis. The sacrum and the head of the femur do not participate in the formation of the acetabulum.